T-4d in TNM staging of breast cancer is
1. Involvement of skin
2. Involvement of chest wall
3. Inflammatory carcinoma
4. Peau'de orange appearance

Correct answer: 3. Inflammatory carcinoma

Explanation: OT4a: Extension to the chest wall, not including pectoralis muscleOT4b: Edema (including peau d'orange) or ulceration of the skin, or satellite skin nodules confined to the same breastOT4c: Both T4a and T4bT4d: Inflammatory carcinoma